Ideal contraceptive for a couple living in different cities meeting only occasionally aEUR'
1. >Barrier method
2. >IUCD
3. >OCP
4. >DMPA

Correct answer: 1. >Barrier method

Explanation: Barrier method Barrier method is a suitable contraceptive option for those who have infrequent sexual intercourse. - Since the couple are living in different cities they do not need round the clock contraception as offered by other methods.